What is the indication for radical mastoidectomy in an middle aged female?
1. ASOM
2. CSOM
3. Cholesteatoma invading eustachian tube
4. Acute mastoiditis

Correct answer: 3. Cholesteatoma invading eustachian tube

Explanation: Indications for radical mastoidectomy: When all cholesteatoma cannot be safely removed, e.g., that invading eustachian tube, round window niche, perilabyrinthine or hypotympanic cells. If previous attempts to eradicate chronic inflammatory disease or cholesteatoma have failed. As an approach to petrous apex Removal of glomus tumor Carcinoma middle ear